In HIV positive patient with pneumocystis jiroveci infection, which of the following is used for prevention?
1. Azithromycin
2. Acyclovir
3. C. Levofloxacin
4. Sulfomethoxazole+ trimethoprim

Correct answer: 4. Sulfomethoxazole+ trimethoprim

Explanation: Ans. (d) Sulfomethoxazole and trimethoprimRef: Harrison 19th ed. / 492* Prophylaxis with trimethoprim-sulfamethoxazole (TMPSMZ) prevents many opportunistic infections, including infection with P. carinii, Toxoplasma gondii, and community-acquired respiratory, gastrointestinal, and urinary tract pathogens.* Intolerance of TMP-SMZ is common; desensitization is useful less often in transplant patients than in patients with AIDS. Alternative agents provide a narrower spectrum of protection than does TMP-SMZ and less adequate protection against Pneumocystis species